Headquarters of FAO is located in
1. New York
2. Rome
3. Geneva
4. New Delhi

Correct answer: 2. Rome

Explanation: Food and Agriculture Organization (FAO) established in October 1945 with the objective of eliminating hunger and improving nutrition and standards of living by increasing agricultural productivity. The FAO coordinates the efforts of governments and technical agencies in programs for developing agriculture, forestry, fisheries, and land and water resources. Headquartered in Rome, Italy, the FAO maintains offices throughout the world. The organization, which has more than 180 members, is governed by the biennial FAO conference, in which each member country, as well as the European Union, is represented. The conference elects a 49-member Council. Ref: 25th edition Park's Textbook of Preventive and Social Medicine, Page no. 986